Tumour marker of Hepatocellular carcinoma ?
1. AFP
2. CEA
3. HCG
4. CA-19

Correct answer: 1. AFP

Explanation: Ans. is 'a' i.e. AFP